Radiographic finding of floating teeth can be seen in ?
1. Ectodermal dysplasis
2. Cleido cranial dysplasia
3. Osteopetrosis
4. Histiocytosis - X

Correct answer: 4. Histiocytosis - X

Explanation: Ans. is 'd' i.e., Histiocytosis X